In Random sampling, the probability of selecting an item from the population is:-
1. Not Known
2. Known
3. Undecided
4. Zero

Correct answer: 2. Known

Explanation: Probability sampling - Samples selected through probability sampling are also frequently known as random samples . Randomness, however, does not imply that the sample units are selected haphazardly. On the contrary, in this method of sampling, the probabilities for selecting the different samples from a population are specified, and the probabilities for the units of the population to appear in the samples are known.